which of the following is a late inward sodium channel blocker?
1. Ivabradine
2. Trimetazidine
3. Ranolazine
4. Fasudil

Correct answer: 3. Ranolazine

Explanation: ref : KD TRIPATHI 8TH ED